Baby borne to patient suspected of chlamydial infection sample to be taken for diagnosis -
1. Conjunctival
2. Urethral
3. Urine sample
4. Blood

Correct answer: 1. Conjunctival

Explanation: Ans, is 'a' i.e., Conjunctival o About 70% of baby bom to positive chlamydal infection develop conjuctivitis at day 5 of life so sample taken for diagnosis is conjuctival,o Chlamydal infection is most common cause of conjuctivitis in newborn.o Chlamydal infection causes watering dischange form eye (unlike purulent dischange in Gonococcal),o Neonate's eyelid everted and specimen obtained,o Treatment is local enythromycin application.